The decrease in O2 affinity of hemoglobin when the PH of blood falls is called
1. Bohr effect
2. Haldane effect
3. Centrifugation coefficient
4. Oxygen debt

Correct answer: 1. Bohr effect

Explanation: (Bohr effect) (583-84, 614-K.S) (667-68-GN) (611- Ganong 23rd)* The decrease in O2 affinity of hemoglobin when the pH of blood falls is called the Bohr effect and is closely related to the fact that deoxygenated hemoglobin (deoxyhemoglobin) binds H+ more actively than does oxyhemoglobin. The pH of blood falls as its CO2 content increases, so that when the PCO2 rises, the curve shifted to the right and the P50 rises.* Combination of more amount of oxygen with hemoglobin displaces CO2 from hemoglobin. This effect is called Haldane effect. So the excess of oxygen content in blood causes shift to the CO2 dissociation curve to the right.* Oxygen Debt - After a period of severe muscular exercise, the amount of O2 consumed is enormously more. The oxygen required is more than the quantity available to the muscle. This much of oxygfen is required not only for the activity of the muscle but also for reversal of some metabolic processes such as1. Reformation of glucose from lactic acid accumulated during exercise2. Resynthesis of ATP and creatine phosphate3. Restoration of amount of oxygen dissociation from hemoglobin and myoglobinThus, for the above reversal phenomena, an extra amount of oxygen must be made available in the body after the severe muscular exercise. This is called oxygen-debt.The oxygen debt is about six times more than the amount of oxygen consumed under resting conditions.VO2-Max - The amount of oxygen consumed under maximal aerobic metabolism is called VO2 max. This is the product of maximal cardiac output and maximal amount of oxygen consumed by the muscle.